A 6-month-old child presents with recurrent seizures and poor development. The evaluation reveals a baby with hydrocephalus, impaired movement of the extremities, hypotonia, and retinal abnormalities. A computerized tomography (CT) scan demonstrates large ventricles and calcified lesions. Which of the following is the most likely diagnosis?
1. Tay-Sachs disease
2. congenital hydrocephalus
3. kernicterus
4. toxoplasmosis

Correct answer: 4. toxoplasmosis

Explanation: Toxoplasmosis is the most likely diagnosis. The infection has a predilection for the CNS and the eye, and produces encephalitis in utero. Symptoms can be evident in the first few days of life. Infants born with active disease may have fever, rash, seizures, and hepatosplenomegaly at birth.